Gallbladder contraction is stimulated by :
1. Gastrin
2. Secretin
3. Vagus
4. Cholvcvstokinin

Correct answer: 4. Cholvcvstokinin

Explanation: D i.e. Cholecystokinin